Virchow method of autopsy includes:-
1. Organs are removed En masse
2. Organs are removed En block
3. Organs are removed one by one
4. In situ dissection combined with en bloc removal

Correct answer: 3. Organs are removed one by one

Explanation: Autopsy Techniques: A) Letulle's method (En masse) 1) Thoracic, cervical, abdominal, and pelvic organs are removed "en masse," as one big organ block. 2) Best technique to see relations amongst organs. 3) Preferred in infants so that congenital abnormalities in different organs can be seen in relation to each other 4) Disadvantage: difficult to handle large mass. B) Ghon's method (en block): 1) Cervical, thoracic abdominal and pelvic organs are removed in separate blocks 2) Other than Letulle's method, this Ghon's method can also be used in Infants C) Virchow's method 1) Each and every organs is removed one by one. 2) Relations of organs are not preserved 3) Most commonly used technique (easier to perform) D) Rokitansky method 1) This method is characterized by in situ dissection (in side the body itself) 2) Good for infected bodies (prevents spreading of infection)